AVN of femoral head is most common in-
1. Intracapsular fracture neck of femur
2. Extracapsular fracture neck of femur
3. Subtrochanteric fracture
4. Fracture shaft humerus

Correct answer: 1. Intracapsular fracture neck of femur